While performing duochrome test, if the patient reports that he sees red letters more clear than green, it indicates that he is slightly:
1. Myopic
2. Hypermetropic
3. Presbyopic
4. None of the above

Correct answer: 1. Myopic

Explanation: Ans. Myopic